Regular drinking of which of the following fruit juices can prevent UTI?
1. Raspberry
2. Grape
3. Cranberry
4. Orange

Correct answer: 3. Cranberry

Explanation: Ans. c. Cranberry (Ref: Campbell Urology 10/e p294; Smith 17/e p207)Regular drinking of cranberry juice can prevent UTI."Alternatives to antibiotic therapy so the treatment of recurrent cystitis/UTI include intravaginal estriol, lactobacillus vaginal suppositories, and cranberry juice taken orallyQ.""Cranberry juice is traditionally used for prophylaxis and treatment of UTIQ.""Cranberry juice contains proanthocyanidins that block adherence of pathogens to uroepithelial cells in vitro. Randomized trials in low-risk patients show that 200 to 750 mL daily of cranberry or lingonberry juice or cranberry- concentrate tablets reduce the risk of symptomatic, recurrent infection by 12% to 20%."- Campbell Urology 10th/294